The nasopharyngeal space is visualized in OPD by -
1. PNS mirror
2. Tongue depressor
3. Both PNS mirror & tongue depressor
4. None

Correct answer: 3. Both PNS mirror & tongue depressor